Mass movement of the colon would be abolished by
1. Extrinsic denervation
2. Distension of the colon
3. Gastrocolic reflex
4. Destruction of auerbach's plexus

Correct answer: 4. Destruction of auerbach's plexus

Explanation: Mass movements are special type of peristaltic contractions which are observed in colon only. A mass movement can be initiated by Gastrocolic reflex Intense stimulation of parasympathetic nerves Overdistension of a segment of colon Gastrocolic reflex refers to contraction of colon induced by entry of food into the stomach. This reflex results in an urge to defecate after a meal. Gastrocolic reflexes results from distension of stomach & duodenum & these are transmitted by way of autonomic nervous system. Trypanosoma cruzi, a species of parasitic euglenoid protozoan causes destruction of Auerbach's plexus in walls of colon which leads to the blockage of both the peristalsis & mass contractions. Therefore, the feces pass with difficulty & get accumulated in large intestine leading to dilatation of colon (megacolon). Reference: Medical Physiology, Indu Khurana